Oniomania is a disorder of compulsive -
1. Buying
2. Cellular phone use
3. Internet use
4. Selfmultilation

Correct answer: 1. Buying

Explanation: Oniomania is compulsive buying.